Venkataraman-Ramakrishnan media is used for:
1. Sterptococcus pneumoniae
2. Staphylococcus aureus
3. Vibrio cholerae
4. Clostridium tetani

Correct answer: 3. Vibrio cholerae

Explanation: Ans. C: Vibrio cholerae Transport media for cholera vibrios are: Modified Cary and Blair medium is recommended as a good transport medium. It is a very stable medium and can be stored for use in screw capped containers. It is a semi-solid transport medium. At least two swabs should be inoculated. Alternative transport media for vibrio cholera are Venkataraman-Ramakrishnan medium (V-R fluid) or alkaline peptone water.VR fluid should be prepared in 30 ml (1 oz) screw capped bottles (MacCaney bottles). It preserves vibrios for more than 6 weeks and has also proved to be very convenient medium for transportation as it can be kept at room temperature after collection of specimen. If none of the transport medium is available, collect watery stool from suspected cholera case by soaking blotting paper strip in the stool, sealing the strip in a polythene bag or an airtight container where the strip does not dry. The moist blotting paper strip can then be transported to the laboratory. Blotting papers have been found to be superior to the filter paper as the former can soak more moisture and retain the same over longer periods thus maintaining the viability of vibrios absorbed on it.